In primary tuberculosis,all of the following may be seen except:
1. Cavitation
2. Caseation
3. Calcification
4. Langhans giant cell

Correct answer: 1. Cavitation

Explanation: Cavitation is seen when there has been a previous sensitization of the host resulting in caseous necrotic material being present which is discharged through the cavities.so,it is associated with secondary tuberculosis more frequently. Caseous granulomas with multinuclear giant cells are present in both primary and secondary tuberculosis.(ref Robbins 7th/384-385)